The most common cause of vesicovaginal fistula(VVF) in under-developed countries would be:
1. Obstetrical injury
2. Pelvic irradiation
3. Carcinoma
4. Haemorrhoidectomy

Correct answer: 1. Obstetrical injury

Explanation: Causes of vesico vaginal fistula: Gynaecological Surgery: Most common cause in developed countries Obstetric injury/ Obstructed labour (leading to tissue necrosis): Most common cause in developing countries Radiation Malignancy Foreign bodies: forgotten pessaries Direct trauma Infective: TB, schistosomiasis, syphilis, LGV Endometriosis, perforating bladder calculi